Moon’s molars seen with:
1. Syphilis
2. Leprosy
3. Amyloidosis
4. Actinomycosis

Correct answer: 1. Syphilis